A forceps rotation of 30deg from left occiput anterior (LOA) to occiput anterior (OA) with extraction of the fetus from +2 station is described as which type of forceps delivery?
1. High forceps
2. Midforceps
3. Low forceps
4. Outlet forceps

Correct answer: 3. Low forceps

Explanation: Ans. is c, i.e. Low forcepsRef. Dutta Obs. 9/e p 533, Table 37.2Presence of fetal head at +2 station indicates low forceps delivery.High forceps = Head not engagedMid cavity forceps = Head engaged, presenting part above +2 stationLow forceps = Head at +2 or below it but not yet reached pelvic flowOuttet = Head at or on perineum